All the following are features of radiation except:
1. Fluorescein
2. Biological
3. Photographic
4. Non penetrating

Correct answer: 4. Non penetrating

Explanation: Ans. Non penetrating